Which organism can penetrate the intact Cornea?
1. Gonococcus
2. Pseudomonas
3. Staphylococcus
4. Klebsiella

Correct answer: 1. Gonococcus

Explanation: ANSWER: (A) GonococcusREF: Yanoff & Ducker- ophthalmology 2nd edition page 404Neonatal conjunctivitis causedby N. gonorrhoeae, a gram-negative diplococcus that canpenetrate an intact epithelium, has decreased significantly since the advent of prophylaxis. The clinical picture of gonococcal conjunctivitis consists of the development of hyperacute conjunctivitis 24- 48 hours after birth characterized by marked eyelid edema, profound chemosis, and excessive purulent discharge.